Ketotifen is a:
1. Leucotriene antagonist
2. Antibody against IgE
3. Mast cell stabilizer
4. Mucolytic & expectorant

Correct answer: 3. Mast cell stabilizer

Explanation: Ketotifen and sodium cromoglycate prevent degranulation of mast cell.